The treatment of choice for a case of congestive failure with hypertension is –
1. ACE inhibitors
2. α – blockers
3. Cal. channel blockers
4. Nitrates

Correct answer: 1. ACE inhibitors